In a snake envenomation, antivenom is started by giving a dose of ?
1. 2 vials
2. 4 vials
3. 10 vials
4. 20 vials

Correct answer: 3. 10 vials

Explanation: Ans. is 'c' i.e., 10 vials Polyvalent antisnake venom is useful when given within four hours of snake bite. It is of less value if delayed for eight hours and is of doubtful value after 24 hours. Each l of polyvalent antisnake venom neutralize about 6-8 mg of venom. Initial dose depends upon symptoms : Minimal (local swelling, no systemic symptoms) --) 5 vails. Moderate (swelling progressing beyond site of bite with systemic reaction)- 10 vails. Severe (markeld local reaction, severe systemic symptoms) - 10-15 vails. In neurotoxic poisoning, a second dose of 10 vials should be given after 1 hour.